Disease or infarction of neurological tissue causes it to be replaced by:
1. Fluid
2. Neuroglia
3. Proliferation of adjacent nerve cells
4. Blood vessel

Correct answer: 2. Neuroglia

Explanation: Diseased or infarcted neurological tissue is replaced by Glial cells aka Supporting Cells. However, because of astrocyte(type of glial cells) we dont get any fibrosis in brain post injury.